HLA marker of bechet's syndrome ?
1. HLA-B27
2. HLA-DR5
3. HLA-B51
4. HLA-CW6

Correct answer: 3. HLA-B51

Explanation: Ans. is 'c' i.e., HLA-B51